Which of the following is not a normal finding in pregnancy
1. Dyspnea
2. Systolic murmur
3. Diastolic murmur
4. Exercise intolerance

Correct answer: 3. Diastolic murmur

Explanation: In normal pregnancy, functional systolic murmurs are common. But Diastolic murmur is an indicator of heart disease.